While assessing the risk of fatality among adults from the Pneumonia Severity Index, which of the following factor is most important
1. Age
2. Presence of congestive Heart Failure
3. Hypothermia
4. Hyponatremia

Correct answer: 1. Age

Explanation: Ans. a. Age